File with R phase technology
1. Protaper
2. Wave one
3. Twisted
4. Race

Correct answer: 3. Twisted